The mechanism involved in the absorption of glucose from the small intestine is-
1. Passive diffusion
2. Facilitated diffusion
3. Secondary active contransport with sodium
4. Actively by insulin dependent uptake

Correct answer: 3. Secondary active contransport with sodium

Explanation: Ans. (c) Secondary active contransport with sodium(Ref: Ganong, 25th ed/p.477)Glucose and galactose are absorbed by a sodium-dependent process - SGLT 1. This type of transport is an example for secondary active transport